Tracheal bifurcation on X–ray corsponds to – a) T5T6b) T4T5c) Sternal angled) Thoracic inlet
1. a
2. bc
3. ac
4. ad

Correct answer: 2. bc

Explanation: Tracheal bifurcation (carina) is located at about 4th thoracic vertebral body or T4-T5 disc space posteriorly and sternal angle of louis anteriorly.